A 60 year old man presented with watering from his left eye since 1 year.Syringing revealed a patent drainage system.Rest of the ocular examination was normal. A provisional diagnosis of lacrimal pump failure was made. Confirmations of the diagnosis would be by:
1. Dacryoscintigraphy
2. Dacryocystography
3. Pressure syringing
4. Canaliculus irrigation test

Correct answer: 1. Dacryoscintigraphy

Explanation: A i.e. Dacryoscintigraphy - Epiphora is outflow of normally secreted tears due to mechanical obstruction in lacrimal passage or pump failureQ - Dacryoscintigraphy is more specific than Jones dye test for diagnosing lacrimal pump failureQ. - Prolonged use of drugs like pilocarpine and idoxuridineQ is associated with punctual stenosis & acquired nasolacrimal pathway obstruction.